In case of burning fire in a closed room, death occurs due to:
1. CO2 poisoning
2. CO poisoning
3. Cardiac fauilre
4. Respiratory failure

Correct answer: 2. CO poisoning

Explanation: Ans. (b) CO poisoningRef: The essentials of FSM by KS Narayan Reddy 31st ed./582